The Most common hallucinations seen in psychiatric practice are
1. Auditory
2. Olfactory
3. Tactile
4. Visual

Correct answer: 1. Auditory

Explanation: (A) Auditory